Relation between current, electromotive forces and resistance in a circuit by Ohm's law is stated as
1. i = E/R
2. i = R/E
3. i = RE
4. All of the above

Correct answer: 1. i = E/R

Explanation: The relationship between flow , pressureand resistance in a hydraulic system is compared with the relationship between current, EMF and resistance.Ohm's law, Current(I)=electromotive force(E)/ resistance(R) Flow(F)= pressure(P)/resistance(R) In vascular system, pressure is the effective perfusion pressure(mean intraluminal pressure at the arterial end -mean pressure at the venous end)and resistance is the peripheral resistance